In congenital dystrophic variety of epidermolysis bullosa, mutation is seen in the gene coding for -
1. Laminin 4
2. Collagen type 7
3. Alpha 6 integrin
4. Keratin 14

Correct answer: 2. Collagen type 7

Explanation: . Collagen type 7